Which is not a feature of tropical eosinophilia ?
1. Eosinophila more than 3000/mm3
2. Microfilariae in tissues
3. Microfilariae in blood
4. Lymphadenopathy

Correct answer: 3. Microfilariae in blood

Explanation: Ans. is 'c' i.e., Microfilariae in blood Tropical pulmonary eosinophilia (weingaen's syndrome) . A distinct syndrome that develops in some individuals infected with lymphatic filarial species. . Clinical manifestations - Nocturnal paroxysmal cough and wheezing - Weight loss - Low grade fever - Lymphadenopathy - Pronounced blood eosinophilia (> 3000 /ML) - Hepatomegaly Some times - Splenomegaly . In TPE there is rapid clearance of microfilariae from the blood stream (microfilariae are absent in blood) by the lung. . There is trapping of microfilariae in the lungs and some times in RE system of spleen, liver and lymph nodes. . Chest x-ray Increased bronchovascular marking; diffuse miliary lesions or mottled opacities in middle and lower lung fields.